Compared with cow's milk, mother's milk has more-
1. Lactose
2. Vitamin D
3. Proteins
4. Fat

Correct answer: 1. Lactose

Explanation: MILK:- Milk is good source of proteins , fats , sugars, vitamins and minerals. 1. Proteins: chief protein is casein. It occurs in combination with calcium as calcium caseinogenate. The other proteins are lactalbumin and lactoglobulin. Animal milk contains 3 times as much protein as human milk. Milk protein contain all eseential amino acids. Human milk contain greater amount of tryptophan and sulphur containing amino acids. 2. Fat: 3.4 % in human milk and 8.8% in animal milk.Human milk contain high amount of linoleic acid and oleic acid. Milk fat is a good source of retinol and vitamin D. 3. Sugar: lactose / milk sugar.Human milk contain more sugar than animal milk. 4. Minerals 5. Vitamins: all except Vitamin C. {Reference: Park's textbook of community medicine, 23 rd edition, pg no. 630}